Vaccination is based on the principle of-
1. Agglutination
2. Phagocytosis
3. Immunologic Memory
4. Clonal Detection

Correct answer: 3. Immunologic Memory

Explanation: Ans. is 'c' i.e., Immunologic Memory . Vaccination is based on the principle of immunogenic memory. . The principle of vaccination against disease is that the introduction of small amount of pathogen to the body produces protective immunologic memory such that if the pathogen is reintroduced at a later date, a greater immunologic responce is elicited but without disease.